How many number of keratinocytes per melanocyte form an epidermal melanin unit?
1. 32
2. 34
3. 36
4. 38

Correct answer: 3. 36

Explanation: Melanocytes are present in the basal layer of the epidermis and their dendrites interdigitate with keratinocytes. A melanocyte with a number of associated keratinocytes (about 36) forms an epidermal melanin unit. Melanocytes contain discrete organelles called melanosomes, which synthesize melanin. There are two types of melanin: Brown-black eumelanin is present in spherical melanosomes. Red-brown or yellow pheomelanin is present in ovoid melanosomes. Once formed, the melanosomes are injected into the keratinocytes by dendrites of melanocytes. Ref:-Neena khanna; pg num:- 145,146